Methylphenidate is drug of choice for:
1. Obsessive compulsive disorder
2. ADHD (attention deficit hyperkinetic disorder)
3. Enuresis
4. Autism

Correct answer: 2. ADHD (attention deficit hyperkinetic disorder)

Explanation: Ans. B. ADHDPharmacologic treatment is considered to be the first line of treatment for ADHD. Central nervous system stimulants are the first choice of agentsa. excellent safety records are documented for methylphenidateb. Dextroamphetamine and dextroamphetamine/amphetamine salt combinations are usually the second drugs of choice when methylphenidate is not effectivec. Second-line agents with evidence of efficacy for some children and adolescents with ADHD include Atomoxetine, a norepinephrine uptake inhibitor, antidepressants, such as bupropion, venlafaxine; and the adrenergic receptor agonists clonidine, and Guanfacine